Shortest acting benzodiazepine is
1. Flurazepam
2. Alprazolam
3. Triazolam
4. Diazepam

Correct answer: 3. Triazolam

Explanation: Ans. is 'c' i.e., Triazolam